In emergencies apart from trauma best method for airway maneuver:
1. Head tilt and chin lift.
2. Jaw thrust.
3. Chin lift.
4. Head tilt.

Correct answer: 1. Head tilt and chin lift.